. Beevor sign is Seen in
1. Abdominal muscle
2. Respiratory muscle
3. Facial muscle
4. Hand muscle

Correct answer: 1. Abdominal muscle

Explanation: *Lesion at T9-T10 paralyse the lower,but not upper-abdominal muscles,resulting in upward movement of the umbilicus when the abdominal wall contracts. Beevor's sign is medical sign seen in the selective weakness of the lower abdominal muscles, involving the movement of the navel towards the head on flexing the neck Beevor's sign is characteristic of spinal cord injury between T9 and T10 levels. This occurs when the upper part of the Rectus abdominis muscle is intact but the lower part is weak because of the spinal injury. Thus when the patient is asked to raise his head as he lies supine on bed, only the upper part of the muscle contracts pulling the umbilicus toward the head. The sign has also been observed in amyotrophic lateral sclerosis, a disease associated with progressive weakening of the muscles of multiple areas of the body, and in facioscapulohumeral muscular dystrophy, a disease of weakness of predominantly the facial, shoulder and upper arm muscles. Ref Harrison20th edition pg 2611